An adult with newly diagnosed tuberculosis is most likely to have which of the following types of lesions?
1. A single lesion in a lung apex
2. A single lesion in the gastrointestinal tract
3. A single lesion subjacent to the pleura
4. Both a lesion subjacent to the pleura in the lower part of an upper lobe and active disease in the mediastinal lymph nodes

Correct answer: 1. A single lesion in a lung apex

Explanation: This is something of a trick question, but it stresses an important fact many medical students do not realize. Primary tuberculosis infection characteristically involves the lung subjacent to the pleura in either the lower part of the upper lobe or the upper part of a lower lobe of one lung. The mediastinal nodes are also usually involved , rather than having a single lesion subjacent to the pleura without lymph node involvement. However, the "trick" part of this question rests on the fact that roughly 80% of newly diagnosed pulmonary tuberculosis cases in adults are actually due to reactivation of an often clinically unsuspected infection acquired years-to-decades previously. The reinfection site usually is in the apex of the lung. You should also be aware that the lungs are not the only site where tuberculosis can occur (it can occur throughout the body), and isolated gastrointestinal involvement is (uncommonly) also seen. Ref: Raviglione M.C., O'Brien R.J. (2012). Chapter 165. Tuberculosis. In D.L. Longo, A.S. Fauci, D.L. Kasper, S.L. Hauser, J.L. Jameson, J. Loscalzo (Eds), Harrison's Principles of Internal Medicine, 18e.